Most important side effect of aspirin -
1. Gastritis
2. Edema
3. Kidney damage
4. Hypersensitivity

Correct answer: 1. Gastritis

Explanation: Ans. is 'a' i.e., Gastritis Adverse effects of aspirinSide effectso Occur at analgesic dose (0.3 -1.5 mg/day)o Symptoms are nausea, vomiting, epigastric distress, increased occult blood loss in stools,o The most important adverse effect of aspirin is gastric mucosal damage.Salicylismo Occurs at antiinflammatory dose (dose dependent).o Symptoms are dizinness, tinnitus, vertigo, reversible impairment of hearing and vision, excitement and mental confusion.o Hyperventilation and electrolyte imbalance also occur.Acute salicylate poisoningo More common in childreno Fatal dose in adults is estimated to 15-30 gm but is considerably lower in children,o Manifestations are vomiting, dehydration, electrolyte imbalance, acidotic breathing, hyper/hypoglycemia, petechial haemorrhages, restlessness, delirium, hallucinations, hyperpyrexia, convulsions, Coma and death due to respiratory failure + Cardiovascular collapse.